Parasite causing pulmonary eosinophilia syndrome-a) Strongyloidesb) Enterobiasisc) Hookwormd) Trichinella
1. ac
2. bc
3. ad
4. b

Correct answer: 1. ac